Cori's cycle is concerned with transport of
1. Alanine
2. Glutamate
3. Lactate
4. None

Correct answer: 3. Lactate

Explanation: It is the process in which glucose is converted to lactate in the muscle, and in the liver this lactate is reconverted into glucose actively contracting muscle, pyruvate is reduced to lactate which may tend to accumulate in muscle. The muscle cramps, often associated with strenuous muscular exercise, are thought to be due to lactate accumulation. To prevent lactate accumulation, the body utilizes Cori's cycle.Ref: DM Vasudevan, 7th edition, page no: 114